In the gut, anaerobic bacteria outnumber the aerobes by a ratio of -
1. 10:01
2. 100:01:00
3. 1000:01:00
4. 10,000:1

Correct answer: 3. 1000:01:00

Explanation: In the human intestines, Anaerobes out number aerobic bacteria a thousand fold